“Tentative cuts” are seen in?
1. Homicide
2. Accidents
3. Fall from height
4. Suicide

Correct answer: 4. Suicide

Explanation: Tentative/trial/hesitation/preliminary wounds: small multiple superficial somewhat parallel and skin deep cuts usually found on the anterior surface of extremities, chest and abdomen. Unintentional cuts: found on fingers, where razor blade has been gripped.